Buerger's disease affects all except:-
1. Lymphatics
2. Small vessels
3. Nerves
4. Veins

Correct answer: 1. Lymphatics

Explanation: BUERGER'S DISEASE (THOROMBOANGITIS OBLITERANS) Segmental inflammatory disease, affecting small and medium sized arteries in upper and lower extremities . Inflammatory process involves neighboring veins and nerves (not lymphatics )